What is deposited in band keratopathy
1. CaSO4
2. CaPO4
3. MgSO4
4. MgPO4

Correct answer: 2. CaPO4

Explanation: Answer- B. CaPO4Band keratopathy is characterized by the deposition ofcalcium and phosphorus salts (especially hydroxyapatite) in a bandlike pattern in the anterior layers of the cornea. The keratopathy is usually limited to the interpalpebral area. Symptoms include irritation, injection, and blurring of vision.Chronic eye diseases (most common cause)